Which of the following is false about gingival index?
1. It can be used for all teeth or selected teeth
2. it uses a scoring system of 0- 3
3. it requires the use of a periodontal probe
4. it requires the measurement of the pocket depth

Correct answer: 4. it requires the measurement of the pocket depth